Nerves anaesthetised in incisive nerve block are:
1. Incisive nerve only
2. Incisive and mental nerve
3. Incisive and inferior alveolar nerve
4. Mental and inferior alveolar nerve

Correct answer: 2. Incisive and mental nerve